True of carotid body tumor is ?
1. Non-chromaffin paraganglioma
2. Good prognosis
3. Rarely metastasises
4. All

Correct answer: 4. All

Explanation: Answer is 'a' i.e. Non-chromaffin Paraganglioma; 'b' i.e. Good Prognosis; 'c' i.e. Rarely metastasises